The antitubercular drug which impacts red colouration to urine is:
1. 1NH
2. Pyrazinamide
3. Rifampicin
4. Ethambutol

Correct answer: 3. Rifampicin

Explanation: Rifampicin